Classical complement activated by:
1. C1
2. C3 Convertase
3. lgA
4. Ag - Ab complex

Correct answer: 4. Ag - Ab complex

Explanation: Antigen-antibody complex lead to activation of classical complement pathway. MAC - Membrane attack complex (C5 - C9) MAC-attack on Antigen & make pores and finally antigen killed Alternate Complement pathway - starting from C3QQ Note : - Compliment 1,4,2 is by passed Lectin pathway start from C4 C1 will not be consumed in lectin pathway